Most common nephrotic syndrome in children
1. Minimal change disease
2. Membranous proliferative disease
3. Membranous glomerulonephritis
4. IgA nepuropathy

Correct answer: 1. Minimal change disease